Standard of Living (WHO) includes all except ?
1. Income
2. Sanitation & nutrition
3. Level of provision of health
4. Human rights

Correct answer: 4. Human rights

Explanation: Ans. is 'd' i.e., Human rights Concept of well being o The WHO definition of health introduces the concept of well being. o The well being of an individual have - 1) Objective component Standard of living or level of living. 2) Subjective component Quality of life. Objective component a) Standard of living It refers to the usual scale of our expenditure, goods we consume and services we enjoy. It includes :- i) Income & occupation ii) Standards of housing, sanitation & nutrition iii) Level of provision of health, educational, recreational and other services. Standard of living depends on per capita GNP. b) Level of living It consists of nine components - i) Health iv) Occupation & working conditions vii) Clothing ii) Food consumption v) Housing viii) Recreation & leisure iii) Education vi) Social security ix) Human rights Amongst these health is the most important component because its impairment always means impairment of the level of living.